A 9 year old male patient reports with a retrognathic mandible and lip trap. The dentist is doubtful if he should start myofunctional appliance therapy for the child. Which of the following clinical test will help him make his decision?
1. VTO
2. Kinesiographic registration
3. Rakosi-Jarabak analysis
4. Postural rest position

Correct answer: 1. VTO

Explanation: Visual Treatment Objective (VTO)
This examination helps us decide whether any functional appliance that postures the mandible forward will improve the facial profile and appearance. 
The child is asked to bring the lower jaw forward in a state of normal or near normal overjet to evaluate improvement in facial profile. A case with normal maxilla and small mandible may show instant improvement in facial profile. 
It helps in predicting treatment changes that would occur in the future for the patient.
The accuracy of prediction is a combination of the effect of treatment procedures and accuracy of predicting future growth.